Definition of suspended animation is :
1. It is a condition of apparent death when no signs of life are discovered as the functions are interrupted for sometimes or are reduced to minimum
2. Sign of death are irreversible
3. Only signs of brain death are present
4. None

Correct answer: 1. It is a condition of apparent death when no signs of life are discovered as the functions are interrupted for sometimes or are reduced to minimum

Explanation: A i.e. It is a condition of apparent death when no signs of life are discovered as the functions are interrupted for sometimes or are reduced to minimum